Flap commonly used in breast reconstruction is-
1. Serratus anterior
2. TRAM
3. Flap from arm
4. Delto pectoral flap

Correct answer: 2. TRAM